Spring catarrh is which type of hypersensitivity reaction -
1. type I
2. type II
3. type II & III
4. All

Correct answer: 1. type I

Explanation: Ans. is 'a' i.e., Type I . Vernal keratoconjuctivitis is a recurrent, bilateral, external ocular inflammation primarily affecting boys and young adults living in warm, dry climates. . It is an allergic disorder in which IgE (type I) and cell mediated immune mechanisms (type IV) play an important role.